Negri bodies are found maximum in which part of the brain?
1. Hippocampus
2. Cerebral cortex
3. Corpus callosum
4. Pons

Correct answer: 1. Hippocampus

Explanation: Ans. A. HippocampusThe disease in humans is called hydrophobia because the patient exhibits the pathognomonic feature of fear of water, being incapable of drinking water despite intense thirst. Attempts to drink liquids bring on painful spasms of muscles of pharynx and larynx producing choking or gagging that patient develops dread of even the sight or sound of water.